Most common cause of death in measles is
1. Pneumonia
2. Meningitis
3. Dehydration
4. Encephalitis

Correct answer: 1. Pneumonia